Signature fracture of skull is seen in -
1. Gutter fracture
2. Depressed fracture
3. Ring fracture
4. Sutural separation

Correct answer: 2. Depressed fracture

Explanation: Ans. is 'b' i.e., Depressed fracture